Transient tachypnea of newborn characterised by ________
1. Common in preterm infants
2. Air bronchogram is seen
3. Respiratory distress resolves in > 10days
4. Inter lobar fissure effusion is present

Correct answer: 4. Inter lobar fissure effusion is present

Explanation: The exact cause of transient tachypnea in newborns isn't always known. The condition may be caused by the inability of the newborn's lungs to expel or absorb amniotic fluid during and following delivery. Babies born by cesarean delivery are more likely to develop this condition. Reference: GHAI Essential pediatrics, 8th edition